Sensory supply of palate is by all except:
1. Vagus
2. Facial nerve
3. Glossopharyngeal
4. Maxillary

Correct answer: 1. Vagus

Explanation: Vagus nerve provides motor supply to the muscles of the soft palate. It does not provide sensory supply to palate. The sensory supply to the palate is derivede mainly from branches of the maxillary nerve via the pterygopalatine ganglion.